True about Congenital Hemangioma:
1. It stops growing after birth
2. It is fully mature at birth
3. NICH variety persists
4. All

Correct answer: 4. All

Explanation: Ans is All i.e. It stops growing after birth, It is fully mature at birth, NICH variety persists, RICH variety involutes Vascular anomalies comprise a widely heterogenous group of tumors and malformations. Great confusion has arisen because of the term hemangioma has been and is continued to be used to represent a multitude of vascular entities.